All are causes of pulmonary hypertension except-
1. Hyperventilation
2. Morbid obesity
3. High altitude
4. Fenfluramine

Correct answer: 1. Hyperventilation